A person after a road traffic accident had a knee injury. A positive 'dial test' in the patient would indicate injury to the following structure:
1. Medial collateral ligament
2. Lateral meniscus
3. Medial meniscus
4. Posterolateral corner

Correct answer: 4. Posterolateral corner

Explanation: External Rotation Recurvatum Test or 'Dial test': This test is performed with the patient supine and the hip and knee fully extended. The leg is lifted off the bed by the toes. Hyperextension, varus instability, and external rotation of the tibial tubercle occurs with adequate quadriceps relaxation in a patient with posterolateral instability. Ref: McMahon P.J., Kaplan L.D. (2006). Chapter 4. Sports Medicine. In H.B. Skinner (Ed), CURRENT Diagnosis & Treatment in Orthopedics, 4e.